Broca's area : which is true -
1. Present bilaterally in brain
2. Supplied by MCA
3. Lesion causes laryngel palsy
4. Present in the temporal lobe o

Correct answer: 2. Supplied by MCA